Following occurs in living cells only-
1. Simple diffusion
2. Facilitated diffusion
3. Osmosis
4. Active transport

Correct answer: 4. Active transport

Explanation: Ans. is 'd' i.e., Active transport "Because the formation and breakdown of ATP require cell activity, active transport mechanisms occur through living membranes."* Active transport require energy (ATP). Energy is produced in living cells. Therefore, active transport is possible only in living cells.